A patient presents with hematuria for many days. On investigations he is found to have calcifications in the wall of urinary bladder and small contracted bladder; most probable cause is
1. Schistosomiasis
2. Amyloidosis
3. Tuberculosis
4. Ca urinary bladder

Correct answer: 1. Schistosomiasis

Explanation: Schistosomiasis sometimes heralded by painless, recurrent hematuria, dysuria, or urinary frequency. It is first suspected cause for hematuria in endemic areas (sub saharan africa) Long-term urogenital schistosomiasis results in fibrosis that may obstruct urinary drainage and result in organ dysfunction. Ultrasonography may demonstrate bladder or ureteral wall thickening, polypoid lesions, hydroureter, hydronephrosis, urinary tract calcifications, and even bladder carcinoma Treatment includes praziquental.